Following a fracture of the humerus, an adult patient has a biopsy of the healing area. Which of the following types of bone will the biopsy most likely show?
1. Cancellous
2. Compact
3. Spongy
4. Woven

Correct answer: 4. Woven

Explanation: Bone is formed by type I collagen fibers, ground substance, and hydroxyapatite crystals. The collagen is oriented in a layered or lamellar fashion. It can be parallel (trabecular bone and periosteum) or concentric (Haversian system). When bone is formed quickly, as in a healing fracture site, metabolic bone disease, or tumor, the collagen is randomly oriented and is called woven bone.Compact bone is the dense calcified external part of the bone. It is lamellar bone.Cancellous , spongy and trabecular bone are all synonymous terms for the thinner network of bone within the cortex. These are also lamellar bone. Ref:Color Atlas of Cytology, Histology, and Microscopic Anatomy by Wolfgang Kuhnel